Shortening of limb is not seen in
1. Posterior dislocation of hip
2. Anterior dislocation of hip
3. Central dislocation of hip
4. TB Hip dislocation of hip

Correct answer: 2. Anterior dislocation of hip